Calciphylaxis is seen in CKD patients due to?
1. Warfarin
2. Hypoparathyroidism
3. Urinary phosphate wasting
4. Tumoral calcinosis

Correct answer: 1. Warfarin

Explanation: Calciphylaxis Painful syndrome of calcification of the small blood vessels located within the fatty tissue and deeper layers of skin, blood clots and death of skin cells due to too little blood flow . Calciphylaxis is seen in CKD patients due to Warfarin